Neisseria vaccine (MCV-4 and MPSV-4) strains are not protective against:
1. A
2. B
3. C
4. W135

Correct answer: 2. B

Explanation: Ans: (b) BRef: Ananthanarayan and Paniker, 9th edition, Page 230Classification of Meningococci - Based on capsular polysaccharide:Group AGroup BGroup CGroup YGroup WMost common strain in IndiaEpidemicsEpidemic and Outbreak Most prevalent in worldwideVaccine not availableLocalized outbreaksSporadicSporadic and Epidemic inSub-Saharan AfricaMonovalent and polyvalent vaccines containing the capsular polysaccharides of group A, C, W-135 and Y are available except for B.